A patient from Himachal pradesh gets a thorn prick & subsequently presents with a verrucous lesion on feet which on microscopy revealed "Copper penny bodies". The diagnosis is
1. Sporothrix
2. Chromoblastomycosis
3. Eumycecoma
4. Verruca vulgaris

Correct answer: 2. Chromoblastomycosis

Explanation: History of thorn prick and verrucous or cauliflower like appearance and presence of copper penny bodies suggests of chromoblastomycosis.